Which of the following statements about amoebicide is least accurate
1. Diloxanide furoate it is a luminal amoebicide
2. Emetine is contraindicated in pregnancy and in patients with Cardiac disease
3. Metronidazole has little activity in the gut lumen
4. Paromomcin is effective in extraintestinal amoebiasis

Correct answer: 4. Paromomcin is effective in extraintestinal amoebiasis

Explanation: Ref-KDT 6/e p896,807 Paromomycin and diloxanide furoate are luminal ameobicamo